A lady presented with 7 weeks amenorrhea with slight vaginal spotting. CRL was 5 mm with well - formed gestational sac with calculated GA of 5+6 weeks on TVS. However cardiac activity could not be seen. Next line of management?
1. Wait for another 1 week and repeat TVS
2. Surgical or medical evacuation
3. Wait for another 4 weeks
4. Serum hCG levels

Correct answer: 1. Wait for another 1 week and repeat TVS

Explanation: Indications for non-viable pregnancy - G-sac >= 25 mm size with no Yolk sac or fetal pole CRL >= 7 mm with no cardiac activity G-sac is seen but fetal pole or cardiac activity are not seen even after 2 weeks G-sac and yolk sac are seen but fetal pole or cardiac activity are not seen even after 11 days Yolk sac >= 7 mm and no fetal pole or cardiac activity seen In this case the CRL measured was 5 mm and the Gestational age calculated was 5+6 weeks, therefore waiting for one week to ten days to repeat an USG to see for appearance of cardiac activity since it cannot be called a non viable pregnancy as yet.